An ill-defined lesion margin is described as:
1. Sclerotic
2. Blending
3. Corticated
4. Punched out

Correct answer: 2. Blending

Explanation: Ill-Defined Borders:
Blending Border: A blending border is a gradual, often wide zone of transition between the adjacent normal bone trabeculae and the abnormal-appearing trabeculae of the lesion.
Oral radiology White and Pharaoh; 7th ed. Page no 276